A 55-year-old male presents with features of obstructive jaundice. He also reports a weight loss of seven kilograms in last two months. On CT scan, the CBD is dilated till the lower end and the main pancreatic duct is also dilated. Pancreas is normal. The most likely diagnosis is:
1. Choledocholithiasis
2. Carcinoma gallbladder
3. Hilar cholangiocarcinoma
4. Periampullary carcinoma

Correct answer: 4. Periampullary carcinoma

Explanation: Ans. Periampullary carcinoma